Increasing number of services in rural areas is a part of -
1. Intersectoral coordination
2. Equitible distribution
3. Appropriate technology'
4. None

Correct answer: 2. Equitible distribution

Explanation: Ans. is 'b' i.e., Equitable distribution o The first key principle in the primary' health care strategy is equity or equitable distribution of health services,o At present health sendees are mainly concentrated in the major towns and cities resulting in inquality of care to the people in rural areas.o Primary health care aims to redress this imbalance by shifting the centre of gravity of the health care system from cities to rural areas and bring these sendees as near people's homes as possible.Principles of primary health care1. Equitable distributionIt means, health sendees must be shared equally by all people irrespective of their ability to pay and all people (urban or rural, rich or poor) have access to health sendees.2 Community' participationThe local community is involved in planning and implementation of health sendees.Primary' health care is thus described as - Health by the people, placing people's health in people hands.Village health guides and trained dais are perfect examples of community participation. They belong to the community they senreIntersectoral coordinationThe primary health care is not provided by health sector alone.It involves all other related sectors of national and community development, in particular agriculture, animal husbandry, food, industry', education, housing, public works, communication and other sectors.Appropriate technology'Appropriate technology is defined as 'technology that is scientifically sound, adaptable to local needs, and acceptable to those who apply it and those for whom it is used, and that can be maintained by the people themselves in keeping with the principles of self reliance with the resources the community' and country can afford.'